Calciphylaxis is more commonly seen in
1. Primary hyperparathyroidism
2. Secondary hyperparathyroidism
3. Teritiary hyperparathyroidism
4. Pseudo hyperparathyroidism

Correct answer: 2. Secondary hyperparathyroidism

Explanation: Calciphylaxis (calcific uraemic aeriolopathy) is a syndrome of disseminated calcification resulting in both vascular calcification and skin necrosis. It accounts for approximately 4% of patients undergoing surgical intervention for secondary hyperparathyroidism. It presents with expanding painful cutaneous purpuric lesions, predominantly on the extremities, although it can also be seen on the lower abdomen.Ref: Bailey and Love 27e pg: 831